Which of the following is nd seen in a case of borderline personality disorder?
1. Identity crisis
2. Dissociative events
3. Risk taking behavior
4. Strong and stable interpersonal relationships

Correct answer: 4. Strong and stable interpersonal relationships

Explanation: Borderline personality disorder patients does not maintain strong & stable interpersonal relationships.